Common peroneal nerve is related to which of the following structures -
1. Shaft of  tibia
2. Neck of fibula
3. Lower tibio-fibular joint
4. Shaft of fibula

Correct answer: 2. Neck of fibula

Explanation: Common peroneal nerve is closely related to the lateral surface of neck of fibula. So fracture neck of fibula may cause injury to this nerve which can result in foot drop.